Enzyme used in Leukemia -
1. Asparginase
2. Lipase
3. Amylase
4. Transminase

Correct answer: 1. Asparginase

Explanation: Ans. is 'a' i.e., Asparginase o Asparaginase is a protein and it is an enzyme.# Asparaginase catalyzes the hydrolysis of asparagine to aspartic acid and ammonia.o Asparatrine is required for protein synthesis and is essential part of cellTumour cells, especially All cell, have low levels of aspargine synthetase, the enzyme that catalyzes the synthesis of asparagine.Therefore tumour cells require an external source of asparagine in order to survive.o Asparasinase serves to destroy all the asparagine that does manage to get synthesized in a tumour cell or that comes in from other sources, thus the tumour cells die because they do not have the aspareine needed to build proteins.o Asparaginase does not come naturally in humans but is found in bacteria, plants, animals including guinea pigs,o Asparaginase used in chemotherapy is usually isolated from cultures ofE.coli.